All of the following cause high anion gap metabolic acidosis except
1. Lactic acidosis
2. Salicylate poisoning
3. Ethylyene glycol poisoning
4. Ureterosigmoidostomy

Correct answer: 4. Ureterosigmoidostomy

Explanation: Ureterosigmoidostomy causes non AG gap acidosisLactic acidosis and ethylene glycol poisoning lead to high AG acidosisSalicylate poisoning usually causes respiratory alkalosisRef: Harrison's 18/e p368, 369